The recent treatment of short bridle passable stricture of urethra in the penile and bulbous urethra is-
1. Internal urethrotomy with Thompson-Walker's urethrotome
2. Optical internal urethrotomy
3. Syme's operation
4. Wheelhouse operation

Correct answer: 2. Optical internal urethrotomy

Explanation: Campbell says “The data show that strictures at the bulbous urethra that are < 1.5 cm in length and not associated with dense, deep spongiofibrosis (i.e. straddle injuries) can be managed with internal urethrotomy, with a 74% moderately long-term success rate.”
• Internal urethrotomy refers to any procedure that opens the stricture by incising it transurethrally .
• Internal urethrotomy is done for short, soft, passable, bulbar stricture.
• The urethrotomy procedure involves incision through the scar to healthy tissue to allow the scar to expand (release of scar contracture) and the lumen to heal enlarged.
• MC complication of internal urethrotomy is recurrence of stricture.
• The data show that strictures at the bulbous urethra that are < 1.5 cm in length and not associated with dense, deep spongiofibrosis (i.e. straddle injuries) can be managed with internal urethrotomy, with a 74% moderately long-term success rate .